A newborn was given a drug in neonatal ICU, but then was found in respiratory distress. The likely drug is ?
1. Morphine
2. Naloxone
3. Salbutamol
4. Soda-bicarb

Correct answer: 1. Morphine

Explanation: Opioids like fentanyl, codeine, pethidine, morphine causes respiratory distress in neonates. Naloxone is the antidote for opioid used in cases of respiratory depression. Salbutamol is a bronchodilator (short acting selective beta-2 adrenergic agonist) used as an antiasthma agent. Sodium bicarbonate is a micronutrient used for correction of base deficit. Reference : page 740, 747, 749 Ghai Essential Pediatrics 8th edition